Serratus anterior is supplied by which nerve?
1. Long thoracic nerve
2. Spinal accessory nerve
3. Dorsal scapular nerve
4. Axillary nerve

Correct answer: 1. Long thoracic nerve

Explanation: ANSWER: (A) Long thoracic nerveREF: Gray s anatomy 40th ed chapter 46Serratus anterior is innervated by the long thoracic nerve, C5, 6 and 7, which descends on the external surface of the muscle.